28-year-old male met with an accident and sustained severe crush injury. He is most likely develop -
1. Acute renal failure
2. Hypophosphatemia
3. Hypercalcemia
4. Acute myocardial infarction

Correct answer: 1. Acute renal failure